Gangliosides consists of
1. Long chain fatty acid (LCFA)
2. Alcohol-sphingosine
3. Sailic acid
4. All of these

Correct answer: 4. All of these

Explanation: Ganglioside = ceramide + oligosaccharide chain (e.g. glucose + galactose) + sialic acid (N-acetylneuramic acid).

or

Ganglioside = sphingosine + long chain fatty acid + oligosaccharide chain + sialic acid (NANA).